Middle meningeal artery passes through
1. Foramen spinosum
2. Foramen ovale
3. Foramen lacerum
4. Toramen rotundum

Correct answer: 1. Foramen spinosum

Explanation: Structures passing through foramen spinosum (MEN) -, Middle meningeal artery, Emissery vein,